Kenny Packs were used in the treatment of –
1. Poliomyelitis
2. Muscular dystrophy
3. Polyneuropathies
4. Nerve injury

Correct answer: 1. Poliomyelitis